Suprasellar calcification with growth retardation is seen in –
1. Pineal body tumor
2. Pituitary tumor
3. Thalamic tumor
4. Craniopharyngioma

Correct answer: 4. Craniopharyngioma